1 year old child with abdominal mass with calcification,possiblities are -a) Neuroblastomab) Wilm's tumorc) Nephronophthsisd)  Pheochromocytoma
1. ac
2. ab
3. ad
4. bc

Correct answer: 2. ab

Explanation: Neuroblastomas are most common malignant tumours in infancy. Stippled calcification is quite common in the tumour. They present with abdominal mass.
Usual age for diagnose of Wilms tumour is 4 months to 6 yrs., median being 3 yrs. Most common presentation is painless abdominal mass. Calcification seen in 5-10% of cases.